Earliest sign seen in Acoustic neuroma is:
1. Facial weakness
2. Unilateral deafness
3. Reduced corneal reflex
4. Cerebellar signs

Correct answer: 3. Reduced corneal reflex

Explanation: Ans. C Reduced corneal reflex. Remember: * Most common nerve from which vestibular schwannoma arises * Earliest symptom * Earliest cranial nerve to be involved by acoustic neuroma * Earliest presentation of Vth nerve involvement! * 2nd earliest cranial nerve to be involved by acoustic neuroma * Earliest presentation of VII nerve involvement Inferior vestibular nerve Progressive unilateral sensorineural hearing loss often accompanied by tinnitus Vth nerve Decreased corneal sensitivity Facial nerve (VII nerve) Involvement of Sensory fibres leading to hyposthesia of posterior meatal wall (Hitzelberger sign) Note Although facial nerve is involved facial nerve palsy is rarely seen